The exact part of the antigen that reacts with the immune system is called as ?
1. Clone
2. Epitope
3. Idiotope
4. Effector

Correct answer: 2. Epitope

Explanation: Ans. is 'b' i.e., Epitope Epitope . Also known as "antigenic determinant". . It is antibody binding site of antigen. . It is the smallest unit of antigenicity. . Antigenic determinants is composed of structures on the surface of molecules and can be constructed in two ways: 1. Within a single segment of primary sequence 4. Sequential epitopes 2. Assembled from residues far apart in the primary 3. Conformational epitopes sequence but brought together on the surface by the folding of the molecule into its native conformation . The majority of antigenic structures recognized by antibodies depend on the tertiary configuration of the antigen (conformational), while T cell epitopes are defined by the primary structure (sequential). Paratope . The part of the antibody or T cell receptor that interact with the epitope. "The idiotype is defined as the specific region of the fab portion of the 1g molecules to which antigen binds".